Commonest acute presentation of sickle cell anemia is
1. Priapism
2. Bone pain
3. Fever
4. Splenomegaly

Correct answer: 2. Bone pain

Explanation: Ref Harrison 19 th ed pg 634 abnormalities provoke unpredictable episodes of microvascular vasoocclusion and premature RBC destruction (hemolytic anemia). Hemolysis occurs because the spleen destroys the abnormal RBC. The rigid adherent cells clog small capillaries and venules, causing tissue ischemia, acute pain, and gradual end-organ damage. This venooc- clusive component usually dominates the clinical course. Prominent manifestations include episodes of ischemic pain (i.e., painful crises) and ischemic malfunction or frank infarction in the spleen, central nervous system, bones, joints, liver, kidneys, and lungs